Merkel cells are present in
1. Dermal papillae
2. Papillary dermis
3. Reticular Dermis
4. Epidermis

Correct answer: 4. Epidermis

Explanation: Merkel cells Touch receptors Type 1 slow adapting Present in stratum basale in epidermis